Anaemia, punctate basophilia, constipation, blue line and abdominal colic are characreristic of -
1. Opium addiction
2. Arsenic poisoning
3. Mercuric poisoning
4. Lead poisoning

Correct answer: 4. Lead poisoning

Explanation: ​Anemia, punctuate basophilia, constipation, blue line on gums and abdominal colic suggest the diagnosis of chronic lead poisoning.